The following is a maker of Paget's disease of the mammary gland
1. S-100
2. HMB 45
3. CEA
4. Neuron specific enolase

Correct answer: 3. CEA

Explanation: .It is superficial manifestation of an intraductal carcinoma. The malignancy spreads within the duct up to the skin of the nipple and down into the substance of the breast. It mimics eczema of nipple and areola.-- In Paget's disease, there is a hard nodule just underneath the areola, which later ulcerates and causes destruction of nipple. Histologically, it contains large, ovoid, clear Paget's cells with malignant features.Modalities of Treatment for it includes * QUART therapy. * Patey's operation or simple mastectomy with axillary clearance * Postoperative radiotherapy in high risk patients. * Hormone therapy, i.e. tamoxifen 10 mg BID. * Sentinel node biopsy when required. * Regular follow-up often with radioisotope bone scan and CEA tumour marker. ref:SRB's manual of surgery,ed 3,pg no 470